Carboxypenicillins true is all except ?
1. Nephrotoxic
2. Sensitive to penicillinase
3. Effective against pseudomonas
4. Platelet aggregation affected

Correct answer: 1. Nephrotoxic

Explanation: Ans. is 'a' i.e., Nephrotoxic Carboxvpenicillins - Carbenicillin: It is active against pseudomonas and indole positive proteus. Klebsiella and gram positive cocci are unaffected by it It is neither penicillinase resistant nor acid resistant. It is inactive orally and is rapily excreted in urine in 1 hr. At high doses it can cause bleeding by interfering with platelet function due to peurbation of agonists receptors on platelet surface. Carbenicillin indanyl is an orally active ester of carbenicillin, used for treatment of UTI caused by pseudomonas and proteus.